MACIS score used for prognosis of papillary cancer does not include?
1. Age
2. Size
3. Excision completion in surgery
4. Mitotic index

Correct answer: 4. Mitotic index

Explanation: MACIS score - M - Metastasis A - Age C - Completion of resection during surgery I - Extra thyroidal invasion S- Size AGES score - Used in risk of dying from papillary Ca of thyroid A - Age G - grade (Histological) E - Extrathyroidal invasion & metastasis S - Size (tumor) AMES score - A - Age M - Metastasis E - Extrathyroidal spread S - Size of tumor